ATT safe in hepatic failure are :
1. Pyrazinamide and ethambutol
2. INH and Rifampicin
3. Streptomycin and Ethambutol
4. Rifampicin and Streptomycin

Correct answer: 3. Streptomycin and Ethambutol